Neonatal period is-
1. Upto 1 year of life
2. Upto 28 days of life
3. 28 days to 1 year
4. First 7 days of life

Correct answer: 2. Upto 28 days of life

Explanation: Neonatal period is from birth to 28 completed days of life.REF.PARK'S TEXTBOOK OF PREVENTIVE AND SOCIAL MEDICINE.Editon-21.Page no.-521